All are true about endotoxins except:
1. Lipopolysaccharides in nature
2. Circulated in blood
3. Highly antigenic
4. Induces IL1 and TNF

Correct answer: 3. Highly antigenic

Explanation: Ans. C. Highly antigenicEndotoxins are poorly antigenic and cannot be toxoided. Exotoxins are highly antigenic and can be toxoided.